Antonie van Leeuwenhoek is associated with
1. Telescope
2. Microscope
3. Staining procedure
4. Immunization

Correct answer: 2. Microscope

Explanation: Antony van Leeuwenhoek: The Microscopist The first person to observe and describe microorganisms accurately was an amateur microscopist Antony van Leeuwenhoek (1632-1723) .